Best natural source of iodine is
1. Milk
2. Sea foods
3. Salt
4. Green leafy Vegetables

Correct answer: 2. Sea foods

Explanation: Best natural source of iodine is - Sea foods.